The first teeth become involved in nursing bottle caries usually are:
1. Mandibular canines
2. Maxillary anterior teeth
3. Mandibular anterior teeth
4. Maxillary and mandibular teeth

Correct answer: 2. Maxillary anterior teeth